Kimmelstiel Wilson disease is
1. Diffuse glomerulosclerosis
2. Capillary basement membrane thickening
3. Nodular glomerulosclerosis
4. Increase in meningeal matrix

Correct answer: 3. Nodular glomerulosclerosis